Which of the following adverse effects of levodopa is not minimized even after combining it with carbidopa?
1. Involuntary movements
2. Nausea and vomiting
3. Cardiac arrhythmia
4. 'On-off' effect

Correct answer: 1. Involuntary movements

Explanation: (Ref: KDT 6/e p419) Carbidopa can decrease all the adverse effects of levodopa except Involuntary movements Behavioural effects